Which of this part of vertebral canal will show secondary curves with concavity backward?
1. Cervical
2. Thoracic
3. Sacral
4. Coccyx

Correct answer: 1. Cervical

Explanation: In vertebrates, cervical vertebrae (singular: vertebra) are the vertebrae of the neck, immediately below the skull. Thoracic vertebrae in all mammalian species are those vertebrae that also carry a pair of ribs, and lie caudal to the cervical vertebrae.